Wof chemotherapeutic drugs inhibit the polymerization of microtubules but is not associated with causing bone marrow supression
1. Cisplatin
2. Vincristine
3. Vinblastine
4. 5 FU

Correct answer: 2. Vincristine

Explanation: Vinca alkaloids Mech of action:- These are mitotic inhibitors, bind to microtubular protein--'tubulin', prevent its polymerization and assembly of microtubules, cause disruption of mitotic spindle and interfere with cytoskeletal function. The chromosomes fail to move apart during mitosis: metaphase arrest occurs. They are cell cycle specific and act in the mitotic phase. Vincristine (oncovin):- Uses:- It is a rapidly acting drug, very useful for inducing remission in childhood acute lymphoblastic leukaemia, but is not good for maintenance therapy. Other indications are acute myeloid leukaemia, Hodgkin's disease, Wilms' tumour, Ewing's sarcoma, neuroblastoma and carcinoma lung. Adverse effects:- peripheral neuropathy and alopecia. It also causes ataxia, nerve palsies, autonomic dysfunction (postural hypotension, paralytic ileus, urinary retention) and seizures. Bone marrow depression is minimal, but syndrome of inappropriate secretion of ADH (SIADH) can occur. Ref:- kd tripathi; pg num:-865